Thyroglossal cyst moves with protrusion of tongue because of attachment to:
1. Foramen caecum
2. Thyroid cartilage
3. Pharyngeal wall
4. Tonsils

Correct answer: 1. Foramen caecum

Explanation: Ans: a (Foramen caecum) Ref: Bailey, 24th ed, p. 777Thyroglossal cyst moves with protrusion of tongue because of its attatchment to foramen caecum.Thyroglossal cyst- May present in any part of thyroglossal tract- Common situations in order of frequency- Subhyoid > Region of thyroid cartilage > Suprahyoid- Occupies midline except in region of thyroid cartilage- Complication - thyroglossal fistula- Treatment of thyroglossal cyst and fistula--Sistrunk operationCentral part of body of hyoid, together with the cyst or fistula is excised, upwards towards the foramen caecum with a core of lingual muscle.